Not true about blue sclera
1. Seen in osteogenesis impeca
2. Does not seen in Ehlers-danlos syndrome
3. Blue colour is produced by underlying uveal pigment
4. Seen in marfan's syndrome

Correct answer: 2. Does not seen in Ehlers-danlos syndrome

Explanation: Answer- B. Does not seen in Ehlers-danlos syndromeBlue Sclera is characterized by marked, generalized blue discolouration of sclera due to thinning, The uveal pigment shines through the thin sclera and produces the blue colour.Causes of blue Sclera:Pseudoxanthoma elasticumOsteogenesis imperfectaEhlers-Danlos syndromeMarfan's syndromeAlkaptonuriaHypophosphatasiaJuvenile paget's diseaseNormal in newbornsVan der Hoeve's syndrome